Submicroscopic deletions of any size can be detected by?
1. Multiplex ligation-Dependent probe amplification (MLPA)
2. Southern blotting
3. Cytogenomic array technology
4. Chromosome painting

Correct answer: 1. Multiplex ligation-Dependent probe amplification (MLPA)

Explanation: Ans. (a) Multiplex ligation-Dependent probe amplification (MLPA)(Ref: Robbins 9th/pg 177; 8th/pg 179)Multiplex Ligation-Dependent Probe Amplification (MLPA): MLPA is a technique which mixes DNA hybridization, DNA ligation, and PCR amplification to detect deletions and duplications of any size, including anomalies that are too large to be detected by PCR and too small to be identified by FISH.